True about midazolam as inducing agent
1. Increase in BP
2. Does not produce pain an IV injection
3. Increase cerebral Oxygen Consumption
4. Increase peripheral vascular resistance

Correct answer: 2. Does not produce pain an IV injection

Explanation: Benzodiazepines display minimal left-ventricular depressant effects, even at general anesthetic doses, except when they are coadministered with opioids (these agents interact to produce myocardial depression and arterial hypotension). Benzodiazepines given alone decrease arterial blood pressure, cardiac output, and peripheral vascular resistance slightly, and sometimes increase heart rate. Benzodiazepines reduce cerebral oxygen consumption, cerebral blood flow, and intracranial pressure but not to the extent the barbiturates do. They are effective in controlling grand mal seizures. Sedative doses often produce anterograde amnesia. The mild muscle-relaxing property of these drugs is mediated at the spinal cord level. The antianxiety, amnestic, and sedative effects seen at lower doses progress to stupor and unconsciousness at anesthetic doses. Compared with propofol or etomidate, induction with benzodiazepines is associated with a slower rate of loss of consciousness and a longer recovery. Benzodiazepines have no direct analgesic properties. Intramuscular injections of diazepam are painful and unreliably absorbed. In contrast, midazolam and lorazepam are well absorbed after intramuscular injection, with peak levels achieved in 30 and 90 min, respectively. Ref: Morgan & Mikhail's clinical anesthesiology 6e